Post prandial utilization of glucose is done by which enzyme:
1. Fructokinase
2. Glucokinase
3. Hexokinase
4. All of above

Correct answer: 2. Glucokinase

Explanation: Post prandial (fed state) utilization of glucose, it is done by Glucokinase enzyme. In other words, The main enzyme which works on glucose after a meal is glucokinase as glucose is present in abundance under this condition. Hexokinase due to its low Km and High affinity for glucose can work even if glucose concentration are low such as fasting condition. But glucokinase cannot work in fasting due to high Km for glucose. Hexokinase Glucokinase Phosphorylates all hexoses Phospharylates only glucose Present in all cells Present in liver and pancreas (GLUT-2) High affinity Low affinity less required more required active in fasting state active in fed state low km high km low Vmax high Vmax Feedback inhibition by glucose-6-phosphate Induced by Insulin